. A 45 year male with a history of alcohol dependence presents with confusion, nystagmus and ataxia. Examination reveals 6th cranial nerve weakness. He is most likely to be suffering from:
1. Korsakoff's psychosis
2. Wernicke encephalopathy.
3. De Clerambault syndrome
4. Delirium tremens

Correct answer: 2. Wernicke encephalopathy.

Explanation: B i.e. Wernicke encephalopathy